Mucopolysaccharide having anticoagulant action is?
1. Heparin
2. Phenindione
3. Rivoroxaban
4. Dabigatran

Correct answer: 1. Heparin

Explanation: Ans. is 'a' i.e., Heparin Heparin It is a parenteral indirect thrombin inhibitor. It is a on uniform mixture of straight chain polysaccharides with molecular weight 10, 000 - 20, 000. It contains polymers of two sulfated disaccharide units D glucosamine L iduronic acid and D glucosamine D glucuronic acid. Heparin is the strongest organic acid present in the body.